Which streptodornase is most antigenic in human beings:
1. A
2. B
3. C
4. D

Correct answer: 2. B

Explanation: Ans. is. b. B